The earliest manifestations of Chronic lead poisoning include -
1. Colic and constipation
2. Encephalopathy
3. Punctate basophilia
4. Lower limb paralysis

Correct answer: 3. Punctate basophilia

Explanation: Facial pallor is the earliest and most consistent symptom. However, among the given options, punctate basophilia is the earliest manifestation.